Oral lesions in Immunocompromised state
1. Lichen planus
2. Lichenoid eruption
3. Oral hairy leukoplakia
4. Erythroplakia

Correct answer: 3. Oral hairy leukoplakia